Treponema pallidum isolation from CSF is maximum in which stage of syphilis?
1. Primary syphilis
2. Secondary syphilis
3. Tertiary syphilis
4. Tabes dorsalis

Correct answer: 2. Secondary syphilis

Explanation: B. i.e. Secondary syphilis